Which of the following drug acts by inhibiting tyrosine kinase activated by EGF receptor as well as HER2?
1. Imatinib
2. Geftinib
3. Erlotinib
4. Lapatinib

Correct answer: 4. Lapatinib

Explanation: Lapatinib is used in combination with capecitabine to treat advanced or metastatic HER2-receptor positive breast cancer (breast cancer that has already spread) after other treatments have failed. It belongs to the group of medicines called antineoplastics (cancer medicines). Lapatinib is also used together with letrozole to treat postmenopausal women with hormone-receptor positive and HER2-receptor positive metastatic breast cancer. Lapatinib interferes with the growth of cancer cells, which are eventually destroyed. Since the growth of normal cells may also be affected by the medicine, other unwanted effects will also occur. Mechanism of Action: Kinase inhibitor, blocks EGF-receptor HER2 kinase; tyrosing kinase inhibition possibly blocks angiogenesis and cellular proliferation USES: Breast Cancer HER2-overexpressing metastatic breast cancer Indicated in combination with capecitabine for treatment of patients with advanced or metastatic breast cancer whose tumors overexpress HER2 and who have received prior therapy including an anthracycline, a taxane, and trastuzumab 1250 mg PO qDay on Days 1-21 continuously in combination with capecitabine (2000 mg/m2/day PO divided q12hr) on Days 1-14 in a repeating 21-day cycle Hormone-positive & HER2-positive advanced breast cancer Indicated in combination therapy with letrozole for treatment of postmenopausal women with hormone receptor-positive and HER2-positive breast cancer for whom hormonal therapy is indicated 1500 mg PO qDay administered continuously in combination with letrozole 2.5 mg PO qDay REFERENCE : www.mayoclinic.org, www.medscape.com